Necrosis with putrefaction is called as
1. Dessication
2. Gangrene
3. Liquefaction
4. Coagulation necrosis

Correct answer: 2. Gangrene

Explanation: ref Robbins 9/e p129 Gangrene is a form of necrosis of tissue with superadded putrefaction.This is a type of coagulative necrosis that occurs due to ischaemia(e.g. in bowel, limb etc.).